Which one of the following is the most common cause of cyanotic heart disease –
1. Dextrocardia
2. Fallot's tetralogy
3. Atrial septal defect
4. Coarctation of aorta

Correct answer: 2. Fallot's tetralogy